Transverse section of Class V through the axial wall is
1. Convex
2. Concave
3. Kidney shaped
4. Straight

Correct answer: 1. Convex